Viral enterotoxin is detected as a possible mechanism of pathogenesis in -
1. Adenovirus
2. Rotavirus
3. Calicivirus
4. Astrovirus

Correct answer: 2. Rotavirus